Theoretical "Optimal PEEP" in ARDS is
1. 0 - 5 mm Hg
2. 5 - 12 mm Hg
3. 12 - 15 mm Hg
4. 15 - 18 mm Hg

Correct answer: 3. 12 - 15 mm Hg

Explanation: In most clinical settings, positive end-expiratory pressure (PEEP) is empirically set to minimize Fio2 (inspired O2 percentage) and maximize Pao2 (arterial partial pressure of O2). On most modern mechanical ventilators, it is possible to construct a static pressure-volume curve for the respiratory system. The lower inflection point on the curve represents alveolar opening (or "recruitment"). The pressure at this point, usually 12-15 mmHg in ARDS, is a theoretical "optimal PEEP" for alveolar recruitment.Ref: Harrison 19e pg: 1738